Epithelial lining of urinary bladder ?
1. Squamous
2. Transitional
3. Cuboidal
4. Columnar

Correct answer: 2. Transitional

Explanation: Ans. is 'b' i.e., TransitionalUrothelium (transitional epithelium) is found in renal pelvis, calyces, ureter, urinary bladder, proximal part of urethra.